Miner's cramps are also called:
1. Heat collapse
2. Heat cramps
3. Sunstroke
4. Heat exhaustion

Correct answer: 2. Heat cramps

Explanation: Ans. Heat cramps